Condition which does not cause metabolic acidosis:-
1. Renal failure
2. Ureterosigmoidostomy
3. Pancreatic or biliary fistula
4. Pyloric stenosis

Correct answer: 4. Pyloric stenosis

Explanation: Hypertrophic pyloric stenosis causes hypokalemia, hypochloremia metabolic alkalosis with paradoxical aciduria. CAUSES OF NON-ANION GAP ACIDOSIS Mnemonic- USED CARP U-Ureteraldiversion S-Small Bowel Fistula E-Extra Chloride (ammonium chloride, Calcium Chloride) D-Diarrhea C-Carbonic anhydrase inhibitors (Acetazolamide, Mefenamic acid) A-Adrenal Insufficiency R-Renal Tubular Acidosis P-Pancreatic Fistula CAUSES OF NORMAL-ANION GAP ACIDOSIS Mnemonic- MUD PILERS M Methanol, Metformin U Uremia D Diabetic Ketoacidosis (DKA), Alcoholic Ketoacidosis or Starvation Ketosis P Paraldehyde, Phenformin I Iron, Isopropyl Alcohol, and Isoniazid (due to Seizures) L Lactic Acidosis E Ethylene Glycol, Ethyl Alcohol R Rhabdomyolysis S Salicylates (do not miss Chronic Salicylate Poisoning)